All of the following are irreversible ADP inhibitors except
1. Ticlodipine
2. Clopidogrel
3. Prasugrel
4. Cangrelor

Correct answer: 4. Cangrelor

Explanation: Cangrelor & Ticagrelor are reversible ADP inhibitors.